Most common site of salivary gland calculi is?
1. Parotid
2. Submandibular
3. Sublingual
4. Minor salivary glands

Correct answer: 2. Submandibular

Explanation: ANSWER; (B) SubmandibularREF: Bailey and love 24th ed p. 723"Eighty percent of all salivary gland stones occur in submandibular salivary glands"